The best choice of antianxiety agent for a 40-year-old woman with generalized anxiety disorder and a history of benzodiazepine abuse is
1. zolpidem
2. flurazepam
3. clonazepam
4. buspirone

Correct answer: 4. buspirone

Explanation: The best choice of antianxiety agent for a 40-year-old patient with a generalized anxiety disorder and a history of BZ abuse is buspirone, a non-benzodiazepine with very low abuse potential. Benzodiazepines such as flurazepam, clonazepam, and chlordiazepoxide have higher abuse potential than buspirone Bupropion is an antidepressant, which is also used for smoking cessation. Zolpidem is a nonbenzodiazepine sleep agent.